a 70 year old women refused to take influenza vaccine , dveloped flu. death happend 1 week after pneumonia.most common cause of post influenza pneumonia
1. staphyloccocus aureus
2. measles
3. legionella
4. cmv

Correct answer: 1. staphyloccocus aureus

Explanation: m/c organism in post influenza decondary pneumonia is staph .auerus Staphylococcus aureus pneumonia * S. aureus is an important cause of secondary bacterial pneumonia in children and healthy adults after viral respiratory illnesses (e.g., measles in children and influenza in both children and adults). * Staphylococcal pneumonia is associated with a high incidence of complications, such as lung abscess and empyema. * Staphylococcal pneumonia occurring in association with right-sided staphylococcal endocarditis is a serious complication of intravenous drug abuse. ref : ananthanaryana 9th ed